Zonular cataract is seen in?
1. Diabetes mellitus
2. Hypoparathyroidism
3. Gaucher's disease
4. Niemann pick s disease

Correct answer: 2. Hypoparathyroidism

Explanation: ANSWER: (B) HypoparathyroidismREF: Parson's 20th ed p. 255-257Morphological classification of developmental cataracts:Punctuate or blue dotMost common congenital cataract almost universally seen in minute amounts.Types:Blue dot or cataracta coerulea: seen as blue dots with slit lamp Sutural or anterior axial: crowded in sutures Cataracta centralis pulverulenta: powdery white dotsZonular/lamellar/perinudear cataractMost common visually significant congenital cataract Sharp opacity around embryonic nucleus Spokes or riders may be seenAssoc with maternal malnutrition, vit.D deficiency , hypoparathyroidism (hypocalcemia) , during pregnancyFusiform/ spindle/axial/coraliform Nuclear cataractAssoc, with rubella or german measlesCoronary/supranuclear cataractDevelops around puberty as a corona of club shaped opacity around lensAnterior capsular polar cataract Postr. Capsular polar cataract